Which of the stool softners doesnot interfere with fat absorption?
1. Docussates
2. Phenolphtalein
3. Liquud paraffin
4. Castor oil

Correct answer: 1. Docussates

Explanation: Phenolphtalein and castor oil are stimulant purgatives whereas docussates and liquud paraffin are stool softners.liquid paraffin may cause deficiency of fat soluble vitamins. (ref KDT 7/e p673-674)